Which orexin receptor antagonist is approved for treatment of insomnia ?
1. Suvorexant
2. Doxepin
3. Ritanserin
4. Agomelatine

Correct answer: 1. Suvorexant

Explanation: Suvorexant MOA : Orexin 1 and 2 receptors inhibitor Orexin antagonist enhance REM and non-REM sleep. Suvorexant decreases sleep onset latency Dose : 10-mg dose within 30 min of going to bed S/E : Daytime somnolence